Conjunctivitis is caused by all except -
1. CMV
2. Enterovirus 70
3. Coxsackies A 24
4. Adenovirus

Correct answer: 1. CMV

Explanation: Adenovirus serotypes 3, 7 and 14cause pharyngoconjunctival fever consist of febrile pharyngitis and conjunctivitis. page no-482 E70 causes acute hemorrhagic conjunctivitis. page no-493. REF:ANANTHANARAYAN AND PANIKER'S TEXTBOOK OF MICROBIOLOGY 9TH EDITION PAGE NO:482,493